A child presents with bladder exstrophy and chronic renal failure. The muscle relaxant of choice to be used during surgery if exstrophy in this child is
1. Atracurium
2. Mivacurium
3. Pancuronium
4. Rocuronium

Correct answer: 1. Atracurium

Explanation: Refer Ref Katzung 11/e p453 Atracurium is eliminated by Hoffman's elimination I. e, it does not require liver of kidney, it is the muscle relaxant of choice in hepatic and renal failure